Which of following lesion shows characteristic anagen, catagen, telogen phase:
1. Kerato acanthoma.
2. Basal cell carcinoma
3. Leukoplakia
4. Squamous cell carcinoma

Correct answer: 1. Kerato acanthoma.